Which of the following is true about epilepsy in pregnancy?
1. Sodium valproate is the drug of choice.
2. Therapeutic drug monitoring is not required.
3. Folic acid supplementation prevents risk of NTD in these patients
4. Lamotrigine is the most teratogenic drug.

Correct answer: 3. Folic acid supplementation prevents risk of NTD in these patients

Explanation: Sodium valproate is the most teratogenic drug. Lamotrigene is the DOC. All anticonvulsant drugs are associated with congenital anomalies.Therapeutic drug monitoring is required. Vitamin K 10 mg/day orally from 36 weeks should be given to mother.